Besides its properties of decreasing intraocular pressure, timolol is preferred in the treatment of glaucoma because it-
1. Produces no miosis
2. Possess membrane stabilizing activity
3. Increases outflow of aqueous humor
4. Is a selective beta-adrenoceptor blocker

Correct answer: 1. Produces no miosis

Explanation: Ans. is 'a' i.e., Produces no miosis